Child born to mothers with Phenylketonuria will have all except
1. Intellectual disability
2. Macrocephaly
3. Growth retardation
4. Congenital heart disease

Correct answer: 2. Macrocephaly

Explanation: Child born to mothers with Phenylketonuria will have :

Microcephaly
Growth retardation
Intellectual disability
Congenital heart disease